The adenocarcinoma of esophagus-develops in ?
1. Barret's esophagus
2. Long standing achalasia
3. Corrosive stricture
4. Alcohol abuse

Correct answer: 1. Barret's esophagus

Explanation: Ans. is 'a' i.e., Barrett's Esophagus Adenocarcinoma of esophagus almost always arises in Barrett's esophagus. Other option i.e. long standing achalasia, corrosive stricture and alcohol abuse are risk factors for squamous cell Ca of esophagus